Which of the following is true regarding tuberculous lymphadenitis:
1. History of contact with TB patient may be present
2. Commonly seen in the young and children
3. Mostly in the cervical region
4. All of the above

Correct answer: 4. All of the above

Explanation: Ans. D: All of the above Tuberculous lymphadenitis/ tuberculous adenitis is a chronic specific granulomatous inflammation with caseation necrosis of the lymph node. The characteristic morphological element is the tuberculous granuloma (caseating tubercule): giant multinucleated cells (Langhans cells), surrounded by epithelioid cells aggregates, T cell lymphocytes and few fibroblasts. Granulomatous tubercules evolve to central caseous necrosis and tend to become confluent, replacing the lymphoid tissue.